Inhibitors of apoptosis is
1. P53
2. Ras
3. Myc
4. Bcl-2

Correct answer: 4. Bcl-2

Explanation: Ref , Robbins 7/e p29,31,32,9/e p55